Safety pin appearance is shown by-a) Hemophilus ducreyib) Chlamydiac)  Donovani granulomatisd) Mycoplasma
1. a
2. ac
3. ad
4. b

Correct answer: 2. ac

Explanation: Bipolar staining (safety pin appearance) 

Some bacteria display a safety pin appearance due to the accumulation of dye at the poles of the cells.


This characteristic is called bipolar staining.


Bacteria showing bipolar staining are-


Calymmatobacter granulomatis (Donovani granulomatis)
Pseudomonas mallei
Pseudomonas pseudomallei   
Vibrio parahemolyticus
Yersinia pestis
H.ducreyi